Following an emergency operation for hepatic and splenic trauma, the surgeon inserts a finger into the foramen of Winslow in an attempt to stop the bleeding. Which is TRUE of the hepatic artery?
1. It is called the common hepatic artery at this level.
2. It is medial to the common bile duct and anterior to the portal vein.
3. It is posterior to the portal vein.
4. It is posterior to the inferior vena cava.

Correct answer: 2. It is medial to the common bile duct and anterior to the portal vein.

Explanation: The hepatic artery is medial to the common bile duct and anterior to the portal vein. The inferior vena cava passes posterior to the (epiploic) foramen of Winslow, where it lies behind the portal vein. The foramen represents the only natural communication between the lesser and greater peritoneal bursa (sac).